A study was done in a population of 2000 individuals. Mean value of hemoglobin is 13.5 grams and the distribution follows normal distribution curve. What percentage of people will be having hemoglobin level more than 13.5 gram?
1. 5%
2. 25%
3. 50%
4. 75%

Correct answer: 3. 50%